Bandl's ring is also called as :
1. Constriction ring
2. Schroeder's ring
3. Retraction ring
4. Cervical dystocia

Correct answer: 3. Retraction ring

Explanation: Ans. is c i.e. Retraction ring Bandl's ring is also called as Pathological retraction ring. It is formed in cases of obstructed labourdeg. Physiology : In case of obstructed labour. the upper segment of the uterus contracts and retracts vigorously, in an attempt to overcome the obstruction while the lower segment dilates. With each contraction there is myometrial shortening, so that the actively contracting upper segment becomes progressively thicker and shorter. The passive lower segment is progressively stretched and becomes thinner. The junction between the two segments stands out prominently as a pathological retraction ring or Bandl's ring. Situation : It runs obliquely and is always situated at the junction of upper and lower segment. On abdominal examination : * Uterus is tense and tender Fetal parts are not easily felt Ring is felt as a groove placed obliquely FHS is absent Round ligaments are palpable. On vaginal examination Ring cannot be felt vaginally. Extra Edge Constriction ring / Schroeder's ring : Constriction ring is a form of incoordinate uterine action where there is localised spastic contraction of a ring of circular muscle fibres of the uterus.